Apart from occurring in nucleic acids, pyrimidines are also found in
1. Theophylline
2. Theobromine
3. Flavin mononucleotide
4. Thiamine

Correct answer: 4. Thiamine

Explanation: Usually, purine and pyrimidine are found in nucleic acids (DNA and RNA) as a part of nucleotides.
Pyrimidines also occur in thiamine (vitamin B1) and alloxan.
Purine is also a structural component of a number of essential coenzymes, e.g. coenzyme-A, NAD+, NADP+ and FAD+.